Imbert-Fick law is associate with ?
1. Schiotz tonometry
2. Applanation tonometry
3. Pachymetry
4. Keratometry

Correct answer: 2. Applanation tonometry

Explanation: Ans. is 'b' i.e., Applanation tonometry Applanation tonometry The concept of applanation tonometry was introduced by Goldmann is 1954. It is based on Imbert- Fick lawwhich states that the pressure inside a sphere (P) is equal to the force (W) required to flatten its surface divided by the area of flattening (A); i.e., P = W/A.